A 62-year-old female was scheduled for mechanical ventilation for respiratory failure. She was administered pancuronium as a muscle relaxant before intubation. Which of the following statement is accurate regarding pancuronium?
1. Tetanic tension is poor
2. Muscle fasciculations are observed at the onset
3. Autonomic ganglia are stimulated
4. Predominantly histamine release

Correct answer: 1. Tetanic tension is poor

Explanation: Answer: a) Tetanic tension is poorNon-depolarizing muscle relaxants act as pharmacological antagonists at the skeletal muscle end-plate.It acts by competitive antagonism.These agents show post-tetanic potentiation, while the tetanic tension declines rapidly.Response to the tetanic stimulus is unsustained with non-depolarizing muscle relaxants, whereas it is sustained during phase I block with depolarizing muscle relaxants.